In which of the following Posterior interosseous nerve is injured?
1. Monteggia's fracture dislocation
2. Posterior dislocation of elbow
3. Supracondylar fracture of humerus
4. Reversed Monteggia's fracture dislocation

Correct answer: 1. Monteggia's fracture dislocation

Explanation: Ans. A. Monteggia's fracture dislocationFracture of the proximal third of the ulna with a radial head dislocation is referred to as Monteggias Fracture- Dislocation. It includes some complications like: recurrent dislocation, nonunion, infection, chronic pain and paralysis of the posterior interosseous nerve, a deep branch of the radial nerve.They are classified in the following ways:* Type 1: It is the type of fracture of the ulnar diaphysis with anterior dislocation and anterior angulation of the radial head (60% of cases)* Type 2: It is the type of fracture of the ulnar diaphysis with posterior or posterolateral dislocation or posterior angulation of the radial head (15% of cases)* Type 3: It is the type of fracture of the ulnar metaphysis, with anterolateral or lateral dislocation of the radial head (20% of cases)* Type 4: It is the type of fracture of the radius and ulna at the proximal third, with anterior dislocation of the radial head (5% of cases)In children, the injury may be treated with long arm splinting and closed reduction.In adults, this fracture is generally treated with closed reduction of the radial head dislocation and open reduction and fixation of the ulna.